| ECF K+ levels are seen in
1. Ectolymph
2. Aqueous humour
3. Endolymph
4. Vitreous humour

Correct answer: 3. Endolymph

Explanation: (C) Endolymph # Endolymph is formed in the scala media by the stria vascularis and has a high concentration of K+ and a low concentrtion of Na+.> Cells in the stria vascularis have a high concentration of Na+-K+ATPase.> In addition, it appears that there is a unique electrogenic K+ pump in the stria vascularis, which accounts for the fact that the scala media is electrically positive by 85 mV relative to the scala vestibuli and scala tympani.